True about Raynaud's disease are all except:
1. More common in females
2. Good prognosis
3. Positive antinuclear phenomenon
4. Most common cause of Raynoud's phenomenon

Correct answer: 3. Positive antinuclear phenomenon

Explanation: Answer is C (Positive antinuclear antibodies) : Raynaud's disease is the term applied for idiopathic Raynaud's phenomenon when secondary causes of the phenomenon have been excluded. Presence of antinuclear antibodies points towards a secondary cause of Ravnaud's phenomenon. ANA 's are not associated with primary idiopathic Ravnaud's disease. The most common cause of Raynaud's phenomenon is Idiopathic Ravnaud's disease. Raynaud's phenomenon/syndrome is an episodic vasopastic disorder characterized by digital colour change (white --> Blue --> Red), following exposure to cold and subsequent rewarming, or emotional stress. Idiopathic Raynaud's phenomenon is also known as Raynaud's disease. Raynaud's disease term is applied when secondary causes of Raynaud's phenomenon have been excluded. Over 50% of patient with Raynaud's phenomenon have Raynaud's disease. - Harrison Raynaud's disease is more common in females 'Women are affected five times more often than men and the age of presentation is usually between 20-40 years'. Raynaud's disease has a good prognosis `Raynaud's disease is usually benign, causing mild disease appear to have the milder forms of Raynaud's Phenomenon.- Harrison